The following interleukin is characterically produced in a TH1 response
1. IL2
2. IL4
3. IL5
4. IL 10

Correct answer: 1. IL2

Explanation: Ref Robbins 7/e p198;8/e p195; 9/e p198 IL-2 has essential roles in key functions of the immune system, tolerance and immunity, primarily its direct effects on T cells. In the thymus, where T cells mature, it prevents autoimmune diseases by promoting the differentiation of certain immature T cells into regulatory T cells, which suppress other T cells that are otherwise primed to attack normal healthy cells in the body. IL-2 enhances activation-induced cell death (AICD). IL-2 also promotes the differentiation of T cells into effector T cells and into memory T cells when the initial T cell is also stimulated by an antigen, thus helping the body fight off infections. Together with other polarizing cytokines, IL-2 stimulates naive CD4+ T cell differentiation into Th1 and Th2 lymphocytes while it impedes differentiation into Th17 and folicular Th lymphocytes